Trendelenberg sign is positive in paralysis of all except -
1. Gluteus medius
2. Gluteus minimus
3. Gluteus maximus
4. Tensor fascia lata

Correct answer: 3. Gluteus maximus

Explanation: Trendelenburg sign is positive when there is paralysis of hip abductors.
Abductors- Gluteus medius and gluteus minimus.
Accessory hip abductors- Tensor fascia lata, sartorius